Lateral internal sphincterotomy is the treatment of choice for
1. Haemorrhoids
2. Fistula in ano
3. Fissure in ano
4. Anal cancer

Correct answer: 3. Fissure in ano

Explanation: ANAL FISSURE Definition An anal fissure (synonym: fissure-in-ano) is a longitudinal split in the anoderm of the distal anal canal, which extends from the anal verge proximally towards, but not beyond, the dentate line. Operative measures Historically, under regional or general anaesthesia, forceful manual (four- or eight-digit) sphincter dilatation was used to reduce sphincter tone; however, this was achieved in an uncontrolled fashion with potential disruption at multiple sites of the internal (and even external) sphincter. The risk of incontinence following this procedure has now made it unpopular, although more conservative controlled stretching is still practised in young men with very high sphincter tone. Fissure healing can also be achieved by a posterior division of the exposed fibres of the internal sphincter in the fissure base, but this is associated with prolonged healing, as well as passive anal leakage thought mainly to be due to the resulting keyhole gutter deformity; however, it may be indicated if there is an associated intersphincteric fistula. Lateral anal sphincterotomy In this operation, the internal sphincter is divided away from the fissure itself - usually either in the right or the left lateral positions (Notaras). The procedure can be carried out using an open or a closed method, under local, regional or general anaesthesia, and with the patient in the lithotomy or prone jack-knife position. The distal internal sphincter is palpated with a bivalved speculum at the intersphincteric groove. In the closed method, a small longitudinal incision is made over this, and the submucosal and intersphincteric planes are carefully developed to allow precise division of the internal sphincter with a knife or scissors to the level of the apex of the fissure; the wound is then closed with absorbable sutures. Alternatively, either plane can be entered using a scalpel , with the blade advanced parallel to the sphincter and then rotated such that the sharp edge faces the internal sphincter, which can then be divided along its distal third. Pressure should be applied to the wound for a few minutes to prevent haematoma formation. In the open technique, the anoderm overlying the distal internal sphincter is divided longitudinally to expose the sphincter, which is divided, and the wound is closed with absorbable sutures. Although the fissure needs no specific attention, problematic papillae and external tags can be excised concomitantly. Early complications of sphincterotomy include haemorrhage, haematoma, bruising, perianal abscess and fistula. Despite low recurrence rates, the most important complication is incontinence of a variable nature and severity, which may affect up to 30% of patients, particularly women, who have weaker, shorter sphincter complexes and in whom there may already have been covert sphincter compromise incurred by childbirth. Ref: Bailey and love 27th edition Pgno : 1352